Nasal valve is formed by all except:
1. Septum
2. Middle turbinate
3. Lower end of upper lateral cartilage
4. Inferior turbinate

Correct answer: 2. Middle turbinate

Explanation: Anterior nasal valve it is the narrowest part of nose and is less well defined physiologically than anatomically. It is formed by the lower edge of the upper lateral cartilages, the anterior end of the inferior turbinate and the adjacent septum. Ref. Dhingra 5/e, p 150.